True about bacterial capsule is following except -
1. Prevents phagocytosis
2. Stains by Gram stain
3. Protects bacteria from lytic enzymes
4. Lost by repeated subcultures

Correct answer: 2. Stains by Gram stain